A 70-year-old man with hypertension wakes up with severe chest pain and diaphoresis. On examination he has bounding pulses with wide pulse pressure. A diastolic murmur is heard along the right sternal border. Which of the following is the possible etiology?
1. Aortic dissection
2. STEMI with papillary muscle dysfunction
3. Myocarditis with functional regurgitation
4. Flash pulmonary edema

Correct answer: 1. Aortic dissection

Explanation: Option A= High B.P | Aortic dissection | Leads to Retrograde spread | develop Aortic Root dilation | Leads to develop Aortic Regurgitation- Diastolic Murmur Option B= STEMI with Papillary muscle dysfunction have systolic murmur. Option C= Myocarditis with functional regurgitation- Systolic murmur Option D= Flash Pulmonary edema related to Renal artery stenosis/Reno vascular hypertension